Sequestrated lobe of lung is commonly supplied by-
1. Pulmonary artery
2. Intercostal artery
3. Descending aorta
4. Bronchial artery

Correct answer: 3. Descending aorta

Explanation: Ans. is 'c' i.e., Descending Aorta Pulmonary sequestration o Pulmonary sequestration refers to the presence of a discrete mass of lung tissue without any normal connection to the airway system. o Blood supply to the sequestered area arises not from the pulmonary arteries but from the aorta or its branches. o Sequestration may be of two types ? 1. Extralobar sequestration --> Sequestrations are external to the lung and may be found anywhere in the thorax or mediastinum. Most commonly they are associated with other congenital anamalies. 2. Intralobar sequestration -4 Found within the lung substance and are usually associated with recurrent localized infection or bronchiectasis.